Which is M.C. site for iatrogenic oesophageal perforation -
1. Abdominal portion
2. Cervical portion
3. Above arch of aorta
4. Below arch of aorta

Correct answer: 2. Cervical portion